Which is the earliest symptom of benign hypertrophy of prostate -
1. Frequency
2. Haematuria
3. Incontinence
4. Strangury

Correct answer: 1. Frequency

Explanation: Ans. is 'a' i.e., Frequency